Glossopyrosis refers to:
1. Painful tongue.
2. Burning tongue.
3. Paralysis of tongue.
4. Black colored tongue.

Correct answer: 2. Burning tongue.